Which of the following is not a true statement for retinitis pigmentosa?
1. Electrophysiological changes appear early in the disease before the objective signs
2. Triad includes Attenuated vessels. optic atrophy and disc edema
3. RP is associated with Cystoid macular edema
4. Argus 2 retinal implant is used as a treatment modality

Correct answer: 2. Triad includes Attenuated vessels. optic atrophy and disc edema

Explanation: Disc edema is not considered as a part of triad of retinitis pigmentosa. Retinitis Pigmentosa Triad: Peripheral pigmentation Optic atrophy Attenuated vessels.